Y-chromosome is:
1. Telocentric
2. Metacentric
3. Submetacentric
4. Acrocentric

Correct answer: 4. Acrocentric

Explanation: Y chromosome is Acrocentric. X chromosome is Submetacentric. IMG showing METACENTRIC CHROMOSOME. IMG showing SUBMETACENTRIC chromosome. IMG showing ACROCENTRIC chromosome. IMG showing TELOCENTRIC chromosome. Sub-Metacentric chromosome - example - 'X' chromosome Acrocentric chromosome - example - 'Y' chromosome, 13,14,15,21,22 chromosome. Telocentric chromosome - are not seen in humans.